Root value for nerve to Quadratus femoris ?
1. L1,L2,L3
2. L2,L3,L4
3. L4,L5 ,S1
4. S1, S2,S3

Correct answer: 3. L4,L5 ,S1

Explanation: Ans. C. L4,L5 ,S1The nerve to quadratus femoris arises from the anteriordivisions of the sacral plexus.It is formed from the L4-S1 nerve roots and exits the pelvis the greater sciaticforamen inferior to the piriformis muscle and deep to thesciatic nerve.